BCL-2 is the marker for-
1. Follicular lymphoma
2. Mycosis fungoides
3. B-Cell lymphoma
4. Mantle cell lymphoma

Correct answer: 1. Follicular lymphoma

Explanation: Question repeat